Following drugs are used in treatment of ADHD -
1. Amphetamine
2. Modafinil
3. Methylphenidate
4. All the above

Correct answer: 4. All the above

Explanation: Ans. is 'd' i.e.. All the above Treatment of ADHDPharmacotherapy Pharmacological treatment is considered to be the first line of treatment of ADHD. Drugs used for ADHD areCNS stimulants: - These are drugs of choice for ADHD. Methyiphenidate is the drug of choice. Other CNS stimulants used are dexmethyiphenyldate. dextroamphetamine , Dextroamphetamine + amphetamine, and modafinil (Provigil). Methyiphenidate should be used in children of 6 years or above and amphetamines should be used in children of 3 years & above.Nonstimulant drugs Atomoxetine, Bupropion, venlafaxine, alpha-adrenergic agonists (Clonidine, guanfacine).Psychological treatment : - The child and parents should be educated with regard to the ways in which ADHD can affect learning, behavior, self esteem and skills. Goal should be set for the family to improve the child's interpersonal relationships, develop study skills, and decrease disruptive behaviors.Behavior therapy : - The goal of behavior therapy is to identify targeted behavior that cause impairment in child's life so that child can work on pregressively improving his or her skill in these area. It includes management of disruptive behavior at home & class room and improving academic performance.